Stag Horn Calculus is made up of:
1. Magnesium ammonium phosphate
2. Calcium oxalate
3. Uric Acid
4. Cysteine

Correct answer: 1. Magnesium ammonium phosphate

Explanation: Ans. (a) Magnesium ammonium phosphateRef Bailey and Love 27th Edition, Page 1406Triple Phosphate Stone:* Usually Calcium phosphate but sometimes is combined with ammonium and magnesium to form the triple phosphate calculus ammonium magnesium phosphate* Also, k/a struvite stone* Smooth and dirty white and solitary* Seen in alkaline urine especially with proteus infection which split urea to ammonia* This type of calculus may enlarge to fill all or most of renal collecting system forming a staghorn calculus